DNA synthesis occurs in phase-
1. G1
2. G2
3. S
4. M

Correct answer: 3. S

Explanation: Ans. is 'c' i.e., S o In the cell, the replication of the DNA occurs only at a specific time during the life of the cell. This period is referred to as the synthetic phase. The various phases of cell cycle are (in sequence) G0 - G1 - S - G2 - M. G1 : Presynthetic phase/interval. S : Synthetic phase (DNA synthesis). G2 : Post-synthetic phase/premitotic phase/interval. M : Mitotic phase: Cells are produced which either directly reenter next cycle or pass into non-proliferative G0 phase. G0 : the Quiescent state.